The following structures are felt on per rectal examination except -
1. Bulb of penis
2. Ureter
3. Anorectal ring
4. Urogenital diaphragm

Correct answer: 2. Ureter